All are true regarding Plummer Vinson syndrome, EXCEPT:
1. Oesophageal web
2. Predisposes to malignancy
3. Koilonchia
4. Common in elderly males

Correct answer: 4. Common in elderly males

Explanation: Ans. is 'd' Common in elderly male Plummer Vinson (Paterson Kelly) syndrome is seen in middle aged women*.Syndrome consists ofIron deficiency anemia*Oesophageal web* (Upper esophagus*)Koilonychia* (Spoon shaped nails)Glossitis*Plummer vinson syndrome is a pre-malignant condition for esophageal carcinoma.